Most common thyroid Cancer is -
1. Papillary carcinoma
2. Follicular carcinoma
3. Medullary carcinoma
4. Anaplastic carcinoma

Correct answer: 1. Papillary carcinoma

Explanation: Papillary Carcinomas are the most common form of thyroid Cancer.